Upper two posterior intercostal arteries arise from ?
1. Aorta
2. Superior intercostal artery
3. Internal mammary artery
4. Bronchial artery

Correct answer: 2. Superior intercostal artery

Explanation: Ans. B) Superior intercostal arteryThe 1st and 2nd posterior intercostal arteries arise from the supreme intercostal artery, a branch of the costocervical trunk of the subclavian artery. The lower nine arteries are the aorticintercostals, so called because they arise from the back of the thoracic aorta.